DOC for Hashimoto encephalopathy -
1. Steroids
2. Prophythiouracil
3. I-131
4. Liothyronine infusion

Correct answer: 1. Steroids

Explanation: Answer- A. SteroidsHashimoto encephalopathy (HE) is usually treated with corticosteroids and treatment of a dysthyroid state.